Desynchronised defibrillation is used in -
1. Atrial fibrillation
2. Attial flutter
3. SVT
4. Ventricular fibrillation

Correct answer: 4. Ventricular fibrillation